All are increased in rheumatoid arthritis, except
1. ESR levels
2. Rheumatoid factor
3. Anti-CCP Antibodies
4. Synovial fluid viscosity

Correct answer: 4. Synovial fluid viscosity